Sodium content in mmol/L in WHO oral rehydration solution is
1. 20
2. 75
3. 90
4. 111

Correct answer: 2. 75

Explanation: Composition of WHO recommended ORS : Reduced osmolarity ORS grams/litre Reduced osmolarity ORS mmol/litre Sodium chloride 2.6 Sodium 75 Glucose, anhydrous 13.5 Chloride 65 Potassium chloride 1.5 Glucose, anhydrous 75 Trisodium citrate, dihydrate 2.9 Potassium 20 Citrate 10 Total Osmolarity 245 Reference: GHAI Essential pediatrics, 8th edition